In allergic pharyngitis, granularity in posterior pharynx is due to ?
1. Hyperplasia of mucous membrane
2. Hyperplasia of sebaceous glands
3. Hyperplasia of submucosal lymphoid tissue
4. Inspisated mucous

Correct answer: 3. Hyperplasia of submucosal lymphoid tissue

Explanation: Clinical Features of Allergic Pharyngitis Frequent colds, persistently stuffy nose, pale edematous nasal mucosa, loss of sense of smell due to mucosal edema, post nasal drip, chronic cough and hearing impairment due to Eustachian tube blockade or fluid in the middle ear. Nasal signs: Transverse nasal crease, Turbinates are usually swollen, Thin watery mucoid discharge. Ocular signs: edema of lids, congestion and cobblestone appearance of conjunctiva, dark circles under the eyes (allergic shiners). Otologic signs: retracted tympanic membrane, serous otitis media, Eustachian tube blockade Pharyngeal signs: granular pharyngitis due to hyperplasia of submucosal lymphoid tissue. Child with prolonged symptoms have mouth breathing Laryngeal signs: hoarseness of voice and edema of vocal cords.